"Tentative cuts" are seen in?
1. Homicide
2. Suicide
3. Accidental
4. Fall from height

Correct answer: 2. Suicide

Explanation: ANSWER: (B) SuicideREF: Parikh 6th ed p. 4.14Tentative/trial/ hesitation/preliminary wounds: small multiple superficial somewhat parallel and skin deep cuts usually found on anterior surface of extremities, chest and abdomen. Unintentional cuts: found on fingers, where razor blade has been gripped